Which is the most common aerobic bacteria found in vagina?
1. Lactobacilli
2. Gardnerella
3. Mobilincus
4. Clostridium

Correct answer: 1. Lactobacilli

Explanation: Normal vaginal flora is mostly aerobic with an average of six different species of bacteria, most common of which is hydrogen peroxide producing lactobacilli. Other commonly found aerobic bacteria found in the vagina are Diphtheroids, Streptococci, Staphylococcus epidermidis and Gardenella vaginalis. Most prevalent anaerobic bacteria which are detected are Peptococcus, Peptostreptococcus and Bacteroids.